Incubation period of typhoid -a)  3-20 daysb)  14-45 daysc)  5-10 daysd)  15-60 dayse) 10-14 days
1. ae
2. b
3. ab
4. ad

Correct answer: 1. ae